Which of the following is a immune privileged sites ?
1. Kidney
2. Testis
3. Lung
4. Liver

Correct answer: 2. Testis

Explanation: Answer- B. TestisThe term immune privilege refers to the phenomenon where tissue allografts transplanted to certain anatomical sites appear exempt from the rules that normally govern graft rejection